Quintiles divide a set of variables in how many divisions:
1. 3
2. 5
3. 10
4. 15

Correct answer: 2. 5

Explanation: Quantiles are the values of the variable that divide the total number of subjects into ordered groups of equal size. Names such as perceniles, deciles, quintiles, quartiles and tertiles are used when number of divisions is 100, 10, 5, 4, 3 respectively. Ref: Medical biostatistics, 1st edition pg: 119